Toxic dose of lithium
1. o.6 mEq/L
2. 1.2 mEq/L
3. 2.0 mEq/L
4. <o.6 mEq/L

Correct answer: 3. 2.0 mEq/L

Explanation: Lithium toxicity, also known as lithium overdose and lithium poisoning, is the condition of having too much lithium in the blood. This condition also happens in persons that are taking lithium in which the lithium levels are affected by drug interactions in the body. Ref: KD Tripathi 8th ed.